Which one of the following is a branch of the facial nerve
1. Deep petrosal nerve
2. Lesser superficial petrosal nerve
3. External petrosal nerve
4. Greater superficial petrosal nerve

Correct answer: 4. Greater superficial petrosal nerve